Highest lymph-node involvement seen in -
1. Glottic Ca
2. Subglottic Ca
3. Supraglottic Ca
4. Equal incidence in all

Correct answer: 3. Supraglottic Ca